Anterior pituitary gland secretes all of the following EXCEPT
1. GH
2. TSH
3. FSH
4. GnRH

Correct answer: 4. GnRH

Explanation: (D) GnRH # Gonadotropin-releasing hormone (GnRH), also known as Follicle-Stimulating Hormone-Releasing Hormone (FSH-RH), Luteinizing Hormone-Releasing Hormone (LHRH), gonadoliberin, & by various other names in its endogenous form and as gonadoralin (INN) in its pharmaceutical form, is a releasing hormone responsible for the release of follicle-stimulating hormone (FSH) and luteinizing hormone (LH) from the anterior pituitary.> GnRH is a tropic peptide hormone synthesized and released from GnRH neurons within the hypothalamus.> The peptide belongs to gonadotropin-releasing hormone family. It constitutes the initial step in the hypothalamic-pituitary-gonadal axis.> The anterior pituitary secretes seven hormones: adrenocorticotropic hormone (corticotropin, ACTH), thyroid-stimulating hormone (thyrotropin, TSH), growth hormone, follicle-stimulating hormone (FSH), luteinizing hormone (LH), Melanocyte stimulating hormone(MSH) and prolactin (PRL).> An additional polypeptide, b-lipotropin b-LPH), is secreted with ACTH, but its physiologic role is unknown. The actions of the anterior pituitary hormones are summarized in.> The hormones are discussed in detail in the chapters on the endocrine system. The hypothalamus plays an important stimulatory role in regulating the secretion of ACTH, b-LPH, TSH, growth hormone, FSH, and LH.> It also regulates prolactin secretion, but its effect is predominantly inhibitory rather than stimulatory.